Prognosis of portocaval shunt depends on all Except -
1. Serum bilirubin
2. Serum albumin
3. Refractory ascitis
4. Type of shunt

Correct answer: 4. Type of shunt

Explanation: "Originally used to assess mortality related to porto-systemic shunts, the Child's score also predicts mortality in patients with cirrhosis after hepatic resection"- CSDT
Prognosis of portocaval shunt depends on Child's criteria
Child's Criteria:

Serum bilirubin
Serum albumin
Ascites - (Presence & degree of ascites)
Neurological disorder
Prothrombin time